Live viral vaccine is
1. Salk
2. Measles
3. Hepatitis
4. Rabies

Correct answer: 2. Measles